Which of the following poisoning gives 'Bitter almond smell'?
1. Lead
2. Cyanide
3. Mercury
4. Organophosphorus

Correct answer: 2. Cyanide

Explanation: Cyanide is having the classic "bitter almond" odor. Cyanide is a chemical asphyxiant; binding to cellular cytochrome oxidase, it blocks the aerobic utilization of oxygen. Unbound cyanide is detoxified by metabolism to thiocyanate, a much less toxic compound that is excreted in the urine. Ref: Blanc P.D. (2012). Chapter 57. Cyanide. In K.R. Olson (Ed), Poisoning & Drug Overdose, 6e.